M. C. anterior mediastinum tumor is -
1. Thymoma
2. Neurogenic Fibroma
3. Lymphoma
4. Meningocele

Correct answer: 1. Thymoma

Explanation: Remember
Most common mediastinal → mass Neurogenic tumors
Most common Ant. mediastinal mass → Thymoma
Most common Middle mediastinal mass → Bronchogenic & pleuropericardial cysts
Most common Posterior mediastinal mass → Neurogenic tumor
Most common malignant mass of mediastinum → Lymphomas
Most common mediastinal mass in children → Neurogenic tumor